Most common presenting symptom of threadworm infection amongst the following is -
1. Abdominal pain
2. Rectal prolapse
3. Urticaria
4. Vaginitis

Correct answer: 1. Abdominal pain

Explanation: Most patients infected of thread worm/pin worm/seat worm /Enterobius vermicularis are asymptomatic.
Most common complaint: Perianal and perineal pruritus (pruritus ani)- nocturnal/early morning.
Other complaints: Abdominal pain, irritability and restlessness.
All these symptoms caused by the female worms laying eggs on anal area.
Severe infections: Sleep disturbances, neurosis, nail bite, grinding teeth at night.
Adult worms can cause appendicitis.